Drug prescribed for acute attack of migraine:
1. Propranolol
2. Flunarizine
3. Sumatriptan
4. Verapamil

Correct answer: 3. Sumatriptan

Explanation: Ans. C. SumatriptanTreatment for acute attack of migraine: NSAIDS, ergot alkaloid, Triptans. For prophylaxis of migraine: Propranolol, flunarizine, CCB.